The WHO definition for blindness is the inability of counting fingers in daylight at a minimum distance of -
1. 3 feet
2. 6 feet
3. 3 metres
4. 6 metres

Correct answer: 3. 3 metres

Explanation: WHO definition blindness - inability to count fingers in day light at a distance of 3 metres or visual acuity less than 3/ 60 or its equivalent. Ref- Park's textbook of Preventive and social medicine 23rd edition. .